A 30 week pregnant woman comes to you for antenatal check up. She complains of mild dyspnea and palpitation. On examination pedal edema is present, ejection systolic murmur is present, ECG shows sinus tachycardia, left axis deviation, occasional premature ventricular beat. ECHO - Small pleural effusion and mild MR. No other relevant findings are present. What is the next line of treatment?
1. Start diuretics
2. Start endocarditis prophylaxis
3. No treatment needed
4. Terminate pregnancy as features are diagnostic of heart failure

Correct answer: 3. No treatment needed

Explanation: Sinus tachycardia, left or right shift of QRS axis, premature atrial or ventricular beats, increasing heart size and LV mass, small pericardial effusion and mild mitral regurgitation are all normal in pregnancy. A benign ejection systolic murmur is seen in 96%of the patient. Here no treatment is needed. Ref: Philip A Kalra, 3rd edition, Page 298.